All are true regarding Scheuermann's osteochondritis except?
1. Dorsal kyphosis
2. Autosomal recessive inheritance
3. Predominantly affects adolescent boys
4. Irregular ossification of vertebral endplates

Correct answer: 2. Autosomal recessive inheritance

Explanation: Scheuermann's osteochondritis has autosomal dominant inheritance. It commonly affects adolescent boys. It is characterised by irregular ossification of vertebral endplates and dorsal kyphosis. Most patients are asymptomatic. It can present with backache which is aggravated by exercise. Management is by protective postural exercises with avoidance of excessive activity. Ref: Davidson's Principles and Practice of Medicine, 22nd edition, p1130